True about Optic disc – a) Horizontal diameter 1.76 minb) Vertical diameter 1.88 mmc) Contain 1 million nerve fibred) Central retinal artery directly supplies this area
1. ab
2. bc
3. abc
4. bcd

Correct answer: 3. abc